Theres is an outbreak of MRSA infection in a ward. What is the best way to control the infection -
1. Vancomycin given empirically to all patients
2. Fumigation of ward frequently
3. Washing hand before and after attending patients
4. Wearing masks before any invasive procedure in ICU

Correct answer: 3. Washing hand before and after attending patients

Explanation: Washing of hands before and after attending the patients as MOST COMMON ROUTE OF INFECTION is hands. Reference:Park's textbook of preventive and social medicine,K.Park,23rd edition,page no:359.